Which is the first study on water fluoridation?
1. Grand rapids (Michigan) & Muskegon
2. Newberg & Kingston
3. Brantferd & Sarnia
4. Evanston & Park

Correct answer: 1. Grand rapids (Michigan) & Muskegon